Most common site of carcinoma of paranasal sinus is?
1. Frontal
2. Ethmoid
3. Maxillary
4. Sphenoid

Correct answer: 3. Maxillary

Explanation: Ans. (c) MaxillaryRef: Dhingra's 4th ed p-195